How many pairs of spinal nerves are there?
1. 30
2. 32
3. 31
4. 34

Correct answer: 3. 31

Explanation: Ans. is 'c' i.e., 31 * There are 31 pairs of spinal nerves (8 cervical, 12 thoracic, 5 lumbar, 5 sacral and 1 coccygeal). Spinal nerves are mixed nerves containing both sensory and motor fibres.